Gram negative cocci is/are -a) Neisseria gonorrhoeaeb)  Bacillusc) Staphylococcid) Streptococcie) Neisseria meningitidis
1. ae
2. b
3. ab
4. ad

Correct answer: 1. ae

Explanation: Medically important gram negative cocci
1) Neisseria

Strict (obligate) aerobes → Meningococci
Facultative anaerobes     → Gonococci

2) Veillonella (obligate anaerobes)
Note → All other medically important gram negative bacteria are bacilli (including coccobacillus).